PLP is not required for:
1. Cystathionine b synthase
2. Glutamate decarboxylase
3. Aspartate transaminase
4. Glucose 6 phosphate dehydrogenase

Correct answer: 4. Glucose 6 phosphate dehydrogenase

Explanation: Vitamin B6 is involved in a variety of reactions as shown below: Carbohydrate metabolism: Glycogen Phosphorylase Amino Acid Metabolism: All Transaminases - ALT, AST Cystathionine b synthase ,Cystathioninase,decarboxylases, Kynureninase, Heme synthesis, ALA synthase Lipid metabolism:- Synthesis of arachidonic acid, Synthesis of Sphingosine (Serine palmitoyltransferase & sphingosine-1-phosphate lyase) Steroid Hormone action: Removes hormone receptor complex from DNA & terminates the action of hormone. Glucose 6 phosphate dehydrogenase requires NADP or vitamin B3 (Niacin) as a coenzyme.